Fast axonal transport is a component of orthograde axonal transport. What is the rate of fast axonal transport?
1. 100 mm/d
2. 200 mm/d
3. 400 mm/d
4. 600 mm/d

Correct answer: 3. 400 mm/d

Explanation: Fast axonal transport occur at a rate of 400mm/d. Fast and slow axonal transport are components of orthograde transport system. Orthograde transport moves from the cell body to the axon. It occurs along microtubules that run along the length of the axon and requires two molecular motors, dynein and kinesin. Slow component of this transport occur at a rate of 10 mm/d. Retrograde transport, occur opposite direction, from the nerve ending to the cell body. It occurs along the microtubules at about 200 mm/day. Ref: Barrett K.E., Barman S.M., Boitano S., Brooks H.L. (2012). Chapter 4. Excitable Tissue: Nerve. In K.E. Barrett, S.M. Barman, S. Boitano, H.L. Brooks (Eds), Ganong's Review of Medical Physiology, 24e.